\r\nIn Target 10 of Goal 7 of Millennium Development Goal, "access" to an improved water source mean?
1. Availability of at least 20L water / person/ day from a source within 1 km of dwelling
2. Availability of at least 20L water / person/ day from a source within 1.5 km of dwelling
3. Availability of at least 15L water / person/ day from a source within 1 km of dwelling
4. Availability of at least 15L water / person/ day from a source within 1.5 km of dwelling

Correct answer: 1. Availability of at least 20L water / person/ day from a source within 1 km of dwelling

Explanation: Proportion (%) of population with sustainable access to an improved water source, rural (G7.710.130) : "improved" water sources means household connection, public standpipe, borehole, protected dug well, protected spring, rainwater collection. "Access" means the availability of at least 20 litres water per person per day from a source within one kilometre of the user's dwelling. Ref: Park's textbook of Preventive and Social Medicine, 21st edition, page-831